Which of the following inhalational anaesthetic agents has lowest blood: gas solubility-
1. Halothane
2. Isoflurane
3. Sevoflurane
4. Desflurane

Correct answer: 4. Desflurane

Explanation: Blood: Gas solubility Halothane 2.25 | ed B:G solubility Isoflurane 1.4 Sevoflurane 0.63 |ed speed of induction Desflurane 0.42